Socialization of medicine leads to all except ?
1. Ensures complete utilization of services by all people
2. Free medical care supported by state
3. Eliminates the competition among physicians in search of clients
4. Ensures social equity, universal coverage of health services

Correct answer: 1. Ensures complete utilization of services by all people

Explanation: Ans. is 'a' i.e. Ensures complete utilization of services by all people Socialized medicine Socialized medicine describes a system for provision of medical service and professional education by the state as in state medicine, but the programme is operated and regulated by professional groups rather than by the government. Eliminates the competition among physicians in search of clients. It ensures social equity, that is universal coverage by health services Provides free medical care, supported by state o However mere socialization is not sufficient to ensure utilization of health services. What is required is 'community participation' which as envisaged by WHO & UNICEF is "the process by which individuals and families assume responsibility for their own health and welfare and for those of the community, and develop the capacity to contribute to their and the community's development". State medicine o State medicine implies provision of free medical service to the people at government expense. The above given definition of socialized medicine is according to Park, 19/e, & 18/e, p 9. The following websites give different view. They write - 'The term Socialized Medicine is used to describe a system ofpublicly administered national health care. This system can range from programs in which the government runs hospitals and health organizations to programs in which there is national universal health care.